All are true regarding periventricular leukomalacia except
1. Appear as echolucent areas (cysts) on neuroimaging in preterm neonate.
2. Require atleast 2 weeks to form.
3. Presence at birth helps to determine timing of hemorrhagic event.
4. Cystic areas in grey matter of brain that develop after ischemic infarction.

Correct answer: 4. Cystic areas in grey matter of brain that develop after ischemic infarction.

Explanation: Periventricular leukomalacia - refers to cystic areas deep in white matter of brain that develop after hemorrhagic or ischemic infarction.